Differential diagnosis of Meniere's disease are all expect -
1. Acoustic neuroma
2. CNS disease
3. Labyrinthitis
4. Suppurative otitis media

Correct answer: 4. Suppurative otitis media

Explanation: Differential Diagnosis of Vertigo + Tinnitus + SNHL Deafness – Includes:

Meniere’s disease (Endolymphatic hydrops)
Syphilis
Labyrinthitis
Labyrinthine trauma due to fracture of temporal bone, postoperatively after stapedectomy
Cogan syndrome
Labyrinthine hemorrhage due to blood dyscrasia
Acoustic neuroma/meningioma (CP angle lesion),
Multiple sclerosis,
Hypothyroidism/Hyperlipidemia

NOTE
In serous otitis media these symptoms may be seen but then hearing loss will be of conductive variety and not SNHL.